Egg on side appearance is seen in:
1. TAPVC
2. Ebstein anomaly
3. TGA
4. TOF

Correct answer: 3. TGA

Explanation: Ans: C (TGA) DisordersSnowmann appearance Cottage leaf appearance Figure of 8 silhoutteFallots TetralogyCoeur-en-sabot i.e. Boot shapedTricuspid AtresiaBox shaped heartASDHilar Dance3 (Pulmonary Plethora)Transposition of great vesselsEgg on side appearanceSmall VSD (<0.5 cm dia)Maiacide de Roger defectCoarctation of AortaQDock's sign (Rib notching/ but it does not involve I & IInd ribs)E sign. Figure of 3 signE sign. Figure of 3 signPericardial EffusionWater bottle/ Pear shaped heartConstrictivePericarditisEgg in cup appearancePrimary PulmonaryHypertensionjug Handle appearances